Major drawback of porcelain is
1. High compressive strength
2. Brittleness
3. Translucency
4. Hardness

Correct answer: 2. Brittleness